Thyroid gland develops from
1. Thyroglossal duct
2. Rathke's pouch
3. Notochordal process
4. Embryonal disc

Correct answer: 1. Thyroglossal duct